Wavelength of light is
1. 400-700 nm
2. 500-800 nm
3. 700-900 nm
4. 300-600 nm

Correct answer: 1. 400-700 nm

Explanation: Ans: a (400-700nm) Ref: Vasudevan 4th ed p. 479Wavelength of visible light is 400-700nm.Violet- 420 nmBlue- 470 nmGreen- 520 nmYellow- 580 nmRed- 680 nm